About Soyabean true -
1. Protein 40%
2. Minerals 8%
3. Digestibility coefficient 75%
4. Highest quality protein amongst vegetarian food

Correct answer: 1. Protein 40%

Explanation: Soya beans contain 40percent of protein,20percent of fat, 4percent minerals. REF. PARK'S TEXTBOOK OF PREVENTIVE AND SOCIAL MEDICAL 21ST EDITION. PAGE NO-628